Which is a feature of Gorham syndrome?
1. Hyperpigmentation
2. Cutaneous hemangioma
3. Alloplasia
4. Photosensitivity

Correct answer: 2. Cutaneous hemangioma

Explanation: Ans. B. Cutaneous hemangiomaSyndromes associated with hemangiomas include PHACES (posterior fossa defects such as Dandy-Walker malformation or cerebellar hypoplasia, large plaque like facial hemangioma, arterial abnormalities such as aneurysms and stroke, coarctation of the aorta, eye abnormalities, and sternal raphe defects such as pits or scars), Gorham (cutaneous hemangiomas with massive osteolysis), and Bannayan-Riley-Ruvalcaba (macrocephaly lipomas, hemangiomas-autosomal dominant inheritance).